A 20 yr old patient presented with early pregnancy for Medical termination of Pregnancy in day care facility. What will be the anesthetic induction agent of choice?
1. Thiopentone
2. Ketamine
3. Propofol
4. Diazepam

Correct answer: 3. Propofol

Explanation: Propofol is the single best agent for daycare surgeries. rapid metabolism no residual effect low incidence of nausea and vomiting